IPC 319 deals with ?
1. Definition of hurt
2. Voluntarily causing hurt
3. Definition of grievous hurt
4. Voluntarily causing grievous hurt

Correct answer: 1. Definition of hurt

Explanation: Ans. is 'a' i.e., Definition of hurt